Trachoma can cause all of the following except:
1. Loss of vision
2. Clouding of the cornea
3. Trichiasis
4. Enopthalmos

Correct answer: 4. Enopthalmos

Explanation: Ans. D: Enopthalmos Complications of trachoma include: Inward-turning eyelashes (trichiasis) Cloudiness of the cornea (pannus) Drooping eyelids (ptosis) Ulceration of the cornea Progressive scarring of the cornea that can result in blindness.